Percentage of women who deliver on expected date of delivery
1. 4%
2. 15%
3. 35%
4. 70%

Correct answer: 1. 4%

Explanation: EDD is calculated using Naegle's rule